Which joint is most commonly affected in pseudogout
1. Knee joint
2. Hip joint
3. MP joint great toe
4. MP joint thumb

Correct answer: 1. Knee joint

Explanation: Pseudogout commonly involves the larger joints Knee joint is Most commonly involved Other sites are wrist, elbow, shoulder ankle Involvement of small joints is uncommon Refer Harrison 20th/e p 2167 maheswari 9th ed